Grevious injury included which of the following :
1. Incised wound of scalp
2. Lacerated wound of scalp
3. Fracture radius
4. Injury which kept patient away from work for 10 days

Correct answer: 3. Fracture radius

Explanation: C i.e. Fracture radius